Blackout is due to:
1. Alcohol intoxication
2. Cocaine toxicity
3. LSD toxicity
4. Cyanide poisoning

Correct answer: 1. Alcohol intoxication

Explanation: Ans. Alcohol intoxication